Degree of relationship between cause and effect is represented by
1. P value
2. Power of study
3. Risk ratio
4. Significance

Correct answer: 3. Risk ratio